Enzyme deficient in maple syrup urine disease?
1. a-ketoacid decarboxylase
2. Transaminase
3. Isomerase
4. Mutase

Correct answer: 1. a-ketoacid decarboxylase

Explanation: Maple syrup urine disease is due to deficiency of a-ketoacid dehydrogenase (also called a-ketoacid decarboxylase). In maple syrup urine disease there is excretion of branched chain amino acids (isoleucine, leucine, valine) and their keto acids (a-keto b-methylvalerate, a-ketoisocaproate, a-ketoisovalerate) in urine.